Romana sign is seen in?
1. Chaga's disease
2. Kala Azar
3. Sleeping sickness
4. Fasciola

Correct answer: 1. Chaga's disease

Explanation: Romana's sign is the classic finding in acute Chagas disease, which consists of unilateral painless edema of the palpebrae and periocular tissues. It can result when the conjunctiva is the portal of entry of T.cruzi